Incineration is:
1. High temperature reduction process
2. Low temperature reduction process
3. High temperature oxidation process
4. Low temperature oxidation process

Correct answer: 3. High temperature oxidation process

Explanation: INCINERATION

Incineration: Is a ‘high temperature dry oxidation’ process; It leads to significant reduction in waste-volume and weight (up to 70 – 80%).
Incineration does not require pre-treatment.
Biggest disadvantage of incineration: Generation of smoke.
Types of Incinerators:

– Double-chamber pyrolytic.
– Single-chamber pyrolytic.
– Rotary kilns.

Temperature in an incinerator:

– Primary chamber: 800° ± 50°C.
– Secondary chamber: 1050° ± 50°C.